Brunner's gland in the duodenum secretes:
1. Mucinus alkaline
2. Acid
3. Pepsin
4. Gastrin

Correct answer: 1. Mucinus alkaline

Explanation: Ans. A Mucinus alkalineRef: BDC, 5th ed. Vol II pg. 268* Brunner's glands are also known as duodenal glands.* These are small compound tubuloacinar glands which secrete mucus that protects duodenum from gastric acidic contents.* They also facilitate activation of intestinal enzymes which helps in absorption.Extra Mile* The gastric glands situated in the fundus and body of stomach contain parietal/oxyntic cells which secrete acid, mucus, pepsin and other digestive enzymes.